The relationship between sulphonamide and PABA is
1. Metabolic antagonism
2. Synergism
3. Intermediate compound formation
4. Chelation

Correct answer: 1. Metabolic antagonism

Explanation: Sulfonamides have structural similarity with PABA .therefore, they competitively inhibit the enzyme responsible for the incorporation of PABA into dihydropteroic acid, the immediate precursor of folic acidRef: DM Vasudevan, 7th edition, page no: 491, 61